Mean hemoglobin of a group of pregnant females is found to be 10.6 gm/dL with Standard deviation of 2 gm/dL. 5% pregnant females in this group will have their hemoglobin level below
1. 7.31 gm/dL
2. 8.6 gm/dL
3. 6.6 gm/dL
4. 5.0 gm/dL

Correct answer: 1. 7.31 gm/dL

Explanation: • Mean + 1SD covers 68% values; So, Hb of 68% pregnant females will lie between 10.6 + 2 gm/dL or between 8.6-12.6
g/dL
- So, 16% will lie below 8.6 gm/dL
• Similarly, Mean + 2SD covers 95% values; So, Hb of 95% pregnant females will lie between 10.6 + 2(2) gm/dL or between 6.6-14.6 gm/dL
- So, 2.5% will lie below 6.6 gm/dL
• So 5% pregnant females will have Hb below 7.31 gm/dL